Korff’s fibres are
1. Initial dentin deposition along cusp tip
2. Initial dentin deposition along cervical part of tooth
3. Late dentin deposition along cusp tip
4. None of the above

Correct answer: 1. Initial dentin deposition along cusp tip